Person had a fight with a neighour where he assaulted him, he can be booked under
1. 44 IPC
2. 319 IPC
3. 320 IPC
4. 351 IPC

Correct answer: 4. 351 IPC

Explanation: Assault: An offer of threat or attempt to apply force to the body of another in a hostile manner (Sec. 351 IPC).1 It does not matter whether it injures him physically or not. Shaking of head or showing of a fist at a person in a hostile manner will constitute an assault. Ref - Krishan Vij textbook of forensic medicine and toxicology 5e pg : 210